Most common cause of solitary thyroid nodule is:
1. Physiological goiter
2. Follicular adenoma
3. Colloid degenerations
4. Cysts

Correct answer: 3. Colloid degenerations